Which of the following TRUE about rhinosporidiosis?
1. The most common organism is Klebsiella rhinoscleromatis
2. Seen only in immunocompromised patients
3. Presents as a nasal polyp
4. Can be diagnosed by isolation of the organism

Correct answer: 3. Presents as a nasal polyp

Explanation: Presents as a nasal polyp Rhinosporidiosis - It is fungal granuloma caused by Rhinosporidium seeberi. The disease mostly affects nose and nasopharynx The disease is acquired through contaminated water of ponds and cow-pets Presents as a leafy, polypoidal mass, pink to purple in colour and attached to nasal septum or lateral wall, sometimes it extends into the nasopharynx and may hang behind the soft palate The mass is very vascular and bleeds easily on touch its surface is studded with white dots representing the sporangia of fungus Early stages complains of nasal discharge which is often blood-tinged or nasal stuffiness Sometimes frank epistaxis is the only presenting complaint Diagnosis is made by biopsy, not possible to culture Treatment - complete excision of the mass with diathermy knife and cauterization of its base, Dapsone has been tried with some success.